Duchenne's muscular dvstrophy-
1. X-L inked dominant
2. X-Linked recessive
3. Autosomal dominant
4. Autosomal recessive

Correct answer: 2. X-Linked recessive

Explanation: Ans. is 'b' i.e., X-linked recessive o Duchenne and Becker's muscular dystrophy are X-like recessive,o So expression of gene is essentially confirmed in males.o Females are affected only if X-chromosome carrying the normal allele is lost or inactivated.